After overnight fasting, levels of glucose transporters are reduced in-
1. a) Brain cells
2. b) RBCs
3. c) Adipocyte
4. d) Hepatocyte

Correct answer: 3. c) Adipocyte

Explanation: The glucose uptake to adipose tissue is controlled by insulin. So in the fasting state, the glucose transporter of muscle and adipose tissue is in intracellular vesicles. An insulin secretion falls in the fasting state, so that the receptors are internalized again, reducing glucose uptake.